Oculomotor nerve supplies all muscles of the eye except
1. Inferior oblique
2. Superior oblique
3. Superior rectus
4. Inferior rectus

Correct answer: 2. Superior oblique

Explanation: (B) Superior oblique > Lateral rectus is supplies by the 6th cranial (abducent) nerve.> Oculomotor nerve supplies all extra ocular muscles of the eye except:> Superior oblique supplied by IV cranial nerve (SO IV).> Lateral rectus supplied by VI cranial nerve (LR VI).